GLUT responsible for secretion of insulin from beta cells of pancreas
1. 1
2. 2
3. 3
4. 4

Correct answer: 2. 2

Explanation: Glucose transporter 2 (GLUT2) also known as solute carrier family 2 (facilitated glucose transporter), member 2 (SLC2A2) is a transmembrane carrier protein that enables protein facilitated glucose movement across cell membranesGLUT2 has high capacity for glucose but low affinity (high Km, ca. 15-20 mM) and thus functions as part of the "glucose sensor" in pancreatic b-cells. It is a very efficient carrier for glucose.Ref: DM Vasudevan, 7th edition